True regarding adenomyosis is :
1. Most common in nulliparous women
2. Progestin are agents of choice for medical management
3. Presents with menorrhagia, dysmenorrhea, and an enlarged uterus
4. More common in young women

Correct answer: 3. Presents with menorrhagia, dysmenorrhea, and an enlarged uterus

Explanation: The patients are usually parous and in their forties Symptoms: Menorrhagia or Menometrorrhagia and Congestive dysmenorrhoea Relief of secondary dysmennorhoea can be tried with NSAIDs or OCPs Other options are GnRH agonists or LNG -IUS. Medical treatment is not very effective. Reference: Textbook of gynaecology; Sheila balakrishnan; 2nd edition; Pg187